Which of the following organelle plays a pivotal role in apoptotic pathways?
1. Endoplasmic reticulum
2. Golgi complex
3. Mitochondria
4. Nucleus

Correct answer: 3. Mitochondria

Explanation: Mitochondria are essential in controlling specific apoptosis pathways. The redistribution of cytochrome c, as well as apoptosis-inducing factor (AIF), from mitochondria during apoptosis leads to the activation of a cascade of intracellular proteases known as caspases. Ref: Beal M.F., Hauser S.L. (2012). Chapter 366. Biology of Neurologic Diseases. In D.L. Longo, A.S. Fauci, D.L. Kasper, S.L. Hauser, J.L. Jameson, J. Loscalzo (Eds), Harrison's Principles of Internal Medicine, 18e.